In bulbous urethra, extravasated urine from this injury can spread into which of the following structures
1. Scrotum
2. Ischiorectal fossa
3. Deep perineal space
4. Thigh

Correct answer: 1. Scrotum

Explanation: Extravasation of urine may result from the rupture of the bulbous spongy urethra below the perineal membrane; the urine may pass into the superficial perineal pouch and spread inferiorly into the scrotum, anteriorly around the penis, and superiorly into the lower part of the abdominal wall. The urine cannot spread laterally into the thigh because the perineal membrane and the superficial fascia of the perineum are firmly attached to the ischiopubic rami and are connected with the deep fascia of the thigh (fascia lata).